Which category of ICD is associated with mood disorders?
1. F0
2. F1
3. F2
4. F3

Correct answer: 4. F3

Explanation: Ans. is 'd' i.e., F3 International classification of disease-10 (ICD-10)o ICD -10 is WHO classification for all diseases and health problems (and not only psychiatric disorders). ICD-10 uses alpha numeric code made of an alphabet (in contrast DSM-IV uses numerical coding) - 'F' is for mental disorders. There are 10 main categories denoted by digits 0 to 9.CodeCategoryF0Organic, including symptomatic mental disorders.FIMental and behaviuor disorders due to psychoactive substance useF2Schizophrenia, schizotypal and delusional disordersF3Mood (affective) disordersF4Neurotic, stress-related and somatoform disorders.F5Behavioral syndromes associated with physiological disturbances and physical factorsF6Disorders of adult personality and behaviourF7Intellectual disabilityF8Disorders of psychological developmentF9Behavioural and emotional disorders with onset usually occuring in childhood or adolescence.